Jaundice at birth or within 24 hours of birth is commonly due to -
1. Erythroblastosis
2. Congenital hyperbilirubinemia
3. Biliary atresia
4. Physiological

Correct answer: 1. Erythroblastosis

Explanation: Ans. is 'a' i.e., Erythroblastosis